Which is not true about thoracic outlet syndrome -
1. Radial Nerve is commonly affected
2. Neurological features are most common.
3. Resection of 1st  rib relieves symptom
4. Positive Adson's test

Correct answer: 1. Radial Nerve is commonly affected

Explanation: Not the Radial nerve, but Ulnar nerve is most commonly affected in thoracic outlet syndrome.
Thoracic Outlet Syndrome

is the collective name which includes -


Cervical rib syndrome
Scalenus anterior syndrome
Costoclavicular syndrome
Hyperabduction syndrome
Pectoralis minor syndrome
First thoracic rib syndrome



The syndrome is caused by compression of the brachial plexus or subclavian vessels in the region of thoracic inlet. The symptoms may arise from neural, vascular or combined compression.

Neurological symptoms (are more common)

Compression of the brachial plexus usually affects its lower trunk (C8 & T1).
Symptoms are - Pain, paraesthesia and numbness usually in the finger and hands in the ulnar nerve distribution.

Symptoms of Arterial Compression are seen less frequently in about 1/4 of the cases.

Symptoms are - Pain, numbness, paresthesia, coldness and weakness of the arm or hand. Raynauds phenomenon may also occur.
Venous symptoms are less common and include edema, venous distention, pain and cyanosis.

Diagnostic tests or manoeuvres :

Adsons test*
Costoclavicular compressive test*
Hyperabduction test. *